The most common pathogens responsible for nosocomial pneumonia in the ICU are -
1. Gram positive organisms
2. Gram negative organisms
3. Mycoplasma
4. Virus infections

Correct answer: 2. Gram negative organisms

Explanation: "Hospital-acquired (nosocomial) pneumonia is frequently caused by enteric gram-negative bacilli such as E.coli, pseudomonas aeruginosa".